White gold alloy predominantly is:
1. Gold added with palladium
2. Gold added with calcium
3. Gold with much of chromium
4. Gold with silver

Correct answer: 1. Gold added with palladium

Explanation: These alloys were introduced as a cheaper alternative to gold alloys.
It is predominantly silver in composition. Palladium (at least 25%) is added to provide nobility and resistance to tarnish. They may or may not contain copper and gold. They are white in color.
The current trend is to avoid the display of metal. At the same time, increase in the platinum, palladium and silver content of modern alloys have resulted in whiter colored gold alloys. Thus, there are ‘yellow gold alloys’ and ‘white gold alloys’. The rise in gold prices has also led to the availability of alloys with low gold content. These are the ‘low golds’.
Ref: Mannapalli 3 ed page no 273